Antiviral drug having dual antiviral activity against HIV and HBV is :
1. Enfuvirtide
2. Emtricitabine
3. Abacavir
4. Entecavir

Correct answer: 2. Emtricitabine